Volume of an adult eyeball vials
1. 5.5mL
2. 6.5mL
3. 7.5ml
4. 8mL

Correct answer: 2. 6.5mL

Explanation: Dimensions of an adult eyeball Anteroposterior diameter 24 mm Horizontal diameter 23.5 mm Vertical diameter 23 mm Circumference 75 mm Volume 6.5 ml Weight 7 gm. Image : A schematic drawing to show some critical parameters including ocular rigidity, volume distributions and aqueous and blood flow in the normal eye. Reference :- A K KHURANA; pg num:-03